Which one of the following statements is wrong regarding adult polycystic kidney disease ?
1. Kidneys are enlarged in size
2. The presentation is unilateral
3. Intracranial aneurysms may be associated
4. Typically manifests in the 3rd decade

Correct answer: 2. The presentation is unilateral

Explanation: Ans. is 'b' i.e., The Presentation is UnilateralAdult polycystic kidney disease is characterized by B/L involvement of the kidney.o The disease may present any age, but most frequently causes symptoms in the third or the 4th decade. Pathologyo Both the kidney are grossly enlarged.o Multiple cysts cover the surface of the kidney.The cysts contain straw coloured fluid that may become hemorrhagic.The cysts are distributed evenly throughout the cortex and the medulla.